A doctor order 6 tests for SLE. Which of the follo wing is needed for inference?
1. Incidence of SLE and predictivity of each test
2. Prior probability of SLE, sensitivity and specificity of test
3. Incidence and prevalence of SLE
4. Relative risk of SLE in the patient

Correct answer: 2. Prior probability of SLE, sensitivity and specificity of test

Explanation: • Post-test probability of a disease in a population (PTP) IS SAME AS PPV
• Pre-test probability of a disease in a population (pTP) IS SAME AS Prevalence